A couple with a family history of beta-thalassemia major in a distant relative has come for counseling. The husband has HbA2 of 4.8% and the wife has HbA2 of 2.3%. The risk of having a child with beta-thalassemia major is:
1. 50%
2. 25%
3. 5%
4. 0%

Correct answer: 4. 0%

Explanation: HBA2 of 4.8% indicates beta thalassemia minor or trait.
HbA2 of 2.3% indicates normal person.
Thalassemia is an autosomal recessive disorder. Therefore, when a trait marries a minor, then the risk of having children with thalassemia major is 0%.